Denominator refers to:
1. Part of the presentation which lies over the Internal os
2. Relation of different parts of fetus to one another
3. Bony fixed point of reference on presenting part
4. Part of fetus lying in the lower segment of uterus

Correct answer: 3. Bony fixed point of reference on presenting part

Explanation: Denominator : It is an arbitrary bony fixed point on the presenting part which comes in relation with the various quadrants of maternal pelvis. Denominators in different presentations : Occiput in vertex Mentum in chin Frontal eminence in brow Sacrum I'm breech Acromion in shoulder. Ref: Datta Obs 9e pg 70.